Bollinger bodies are seen in -
1. Chickenpox
2. Cowpox
3. Fowlpox
4. Smallpox

Correct answer: 3. Fowlpox